Brunners glands are seen in ?
1. Jejunum
2. Upper duodenum
3. Lower duodenum
4. Appendix

Correct answer: 2. Upper duodenum

Explanation: Upper duodenumThe presence of mucous duodenal (Brunner's) glands in the submucosa is indicative of upper duodenum. These submucosal glands are absent in the jejunum, ileum and the entire large intestine.